Acrylic (cold cure)
1. Melts at 100°C
2. Softens at 100°C
3. Still requires heat for polymerization
4. Produces heat during polymerization

Correct answer: 4. Produces heat during polymerization